A 45 year old female patient comes to the clinic for routine general checkup. She is a known diabetic and is on insulin therapy. On general examination, truncal obesity is seen. The sensitivity of the agent used in the treatment of this patient is enhanced by which of the following?
1. Leptin
2. Adiponectin
3. Glucagon
4. Insulin

Correct answer: 2. Adiponectin

Explanation: Since the discovery in the last 20 years that adipose tissue secretes hormones such as leptin and adiponectin, known as adipokines, its role as an endocrine organ has been recognized. 
Leptin, regulates energy homeostasis by stimulating energy use and limiting food intake. If it is lacking, food intake may be uncontrolled, causing obesity. 
Adiponectin modulates glucose and lipid metabolism in muscle and liver, and enhances the sensitivity of tissues to insulin.

Reference : HARPERS ILLUSTRATED BIOCHEMISTRY30th ed Page no 261